Polyvalent anti-snake venom is useful against all snakes except
1. Russel's viper
2. Common krait
3. Saw scaled viper
4. King cobra

Correct answer: 4. King cobra

Explanation: Polyvalent anti-snake venom It is given to neutralize the venom. The anti snake venom is prepared by hyperimmunising horses against four common poisonous snakes: cobra, common krait, Russell's viper, Saw scaled viper. The polyvalent anti-snake venom is not effective against bites by Banded krait, king cobra, pit vipers and sea snakes. ref: FORENSIC MEDICINE AND TOXICOLOGY Dr PC IGNATIUS THIRD EDITION PAGE 520